Glucose may be synthesised from
1. Glycerol
2. Adenine
3. Guanine
4. Palmitic acid

Correct answer: 1. Glycerol

Explanation: Glycerol is release during the hydrolysis of triacylglycerols in adipose tissue and is delivered by the blood to the liver, where it is used in the synthesis of glucose by gluconeogenesis.